RAS gene is inhibited by:
1. Cyclic GMP
2. Adenosine triphosphate
3. CD-kinase
4. GTPase activating protein

Correct answer: 4. GTPase activating protein

Explanation: Ras is a protein which acts a like a switch to regulate cell division. It is activated when bound to GTP while it is inactivated when bound to GDP. GAP (GTPase Activating protein) regulates the Ras protein by causing hydrolysis of GTP bound to Ras. This leads to inactivation of the Ras thus inhibiting the cell cycle.